The superficial retinal hemorrhage is seen in which layer of retina?
1. Inner plexiform layer
2. Nerve fiber layer
3. Inner nuclear layer
4. Outer nuclear layer

Correct answer: 2. Nerve fiber layer

Explanation: Superficial haemorrhages (flame-shaped), seen in RETINAL NERVE FIBRE LAYER (2nd layer of retina) Retinal haemorrhages. Both deep (dot and blot haemorrhages) and superficial haemorrhages (flame-shaped), occurfrom capillary leakage. Superficial retinal haemorrhage may be found in hypertension, diabetes, trauma, venous occlusions,and blood dyscrasias.Deep retinal haemorrhages are typically seen in diabetic retinopathy Subarachnoid haemorrhage may produce retinal haemorrhages especially subhyaloid haemorrhageof the posterior pole Deep Retinal hemorrhages occur in the Outer Plexiform or Inner Nuclear Layers